Direct Coomb's test detects:
1. Antibodies attached to RBC Surface
2. Antibodies in the serum
3. Antigens attached to RBC Surface
4. Antigens in the serum

Correct answer: 1. Antibodies attached to RBC Surface

Explanation: Answer is A (Antibodies attached to RBC Surface) Direct Coomb's test detects IgG Antibodies (or complements) attached to the surface of RBCs. Indirect Coomb's test detects IgG antibodies in the serum (e.g. Anti-D Antibodies).